Independent risk factors for endometrial hyperplasia are all except
1. Obesity
2. Diabetes
3. Hypertension
4. Tamoxifen

Correct answer: 3. Hypertension

Explanation: Hypertension is not independent risk factor for endometrial hyperplasia causing AUB.